A 56 year old Chronic smoker, mass in bronchus resected. Most useful immunohistochemical marker to make a proper diagnosis would be ?
1. Cytokeratin
2. Vimentin
3. Epithelial membrane cadherin
4. Leucocyte common antigen

Correct answer: 1. Cytokeratin

Explanation: o Mass in bronchus in a old chronic smoker suggest bronchogenic carcinoma. The marker of carcinoma, on immunohistochemistry, is cytokeratin.o Other epithelial markers for carcinoma are :-Epithelial membrane antigen (EMA) :- Breast, lung and Kidney's adenocarcinoma.Carcino-embryonic antigen :- Carcinomas of GIT, pancreas, lung, breast, uterus and ovary.